Transitional epithelium is seen in:
1. Gallbladder
2. Urinary bladder
3. Thyroid gland
4. Stomach

Correct answer: 2. Urinary bladder

Explanation: Ans. B Urinary bladderRef: Grays, 41sted. pg. 1261* The epithelial lining of cervix is varied. Ectocervix is composed of non keratined stratified squamous epithelium and endocervix is composed of simple columnar epithelium.* Blood supply of cervix-descending cervical branch of uterine artery.Extra Mile* Size of cervix- 2.5 cm (25 mm)* MC site of cervical CA is squamocolumnar junction.* Lining of vagina: Nonkeratinized stratified squamous epithelium (same as mouth, tongue, pharynx, esophagus, cornea and conjunctiva)* Lining of urinary pathway: Transitional epitheliumExtra Mile* Gallbladder: Columnar epithelium with brush border (microvilli are irregularly placed)* Thyroid: Cuboidal epithelium* Stomach: Columnar epithelium